Non seminal germ cell tumors of testis secrete -
1. CEA
2. Acid phosphatase
3. Alfa feto protein
4. Cytokeratin

Correct answer: 3. Alfa feto protein

Explanation: Answer- C. Alfa feto proteinNon-seminoma germ cell tumors (NSGCT) are spermatocytic seminoma, embryonal carcinoma, Yolk sac tumor (also called endodermal sinus tumor or infantile embryonal carcinoma), teratoma, and choriocarcinoma.